When providing general anaesthesia during pregnancy, minimum alveolar concentration (MAC) is
1. Increased
2. Decreased
3. Unchanged
4. Variable

Correct answer: 2. Decreased

Explanation: MAC progressively decreased during pregnancy.